Giant cell (Hecht's) pneumonia is due to -
1. CMV
2. Measles
3. Malaria
4. P. Carinii

Correct answer: 2. Measles

Explanation: Most patients recover uneventfully but quite a few develop complication which may be due to virus or secondary bacterial infection. Rarely the virus may cause fatal giant cell pneumonia. REF:ANANTHANARAYAN AND PANIKER'S TEXTBOOK OF MICROBIOLOGY 9TH EDITION PAGE NO:512